Which of the following laryngeal muscle arise from the 4th arch?
1. Cricothyroid
2. Transverse arytenoids
3. Posterior cricoarytenoid
4. Lateral arytenoids

Correct answer: 1. Cricothyroid

Explanation: The neck is formed by the elongation of the region between the stomatodeum and the pericardium. This is achieved, partly, by a "descent" of the developing heart. However, this elongation is due mainly to the appearance of a series of mesodermal thickenings in the wall of the cranial-most part of the foregut, i.e. future pharynx. These mesodermal thickenings are called the pharyngeal, or branchial, arches. Fourth arch - Larynx -Cricothyroid * Muscles of pharynx * Intrinsic muscles of soft palate except tensor palati. Ref: Inderbir Singh's Human Embryology, eleventh edition, pg. no.,127, Table Ref: Inderbir Singh's Human Embryology, eleventh edition, pg. no., 130 (Table 9.2).